Amniotic fluid is maximum at what gestational age-
1. 12 weeks
2. 20 weeks
3. 36 weeks
4. 40 weeks

Correct answer: 3. 36 weeks

Explanation: Ans-C i.e., 36 weeks o Amniotic fluid volume is related to gestational age. It measures 50 ml at 12 weeks, 400 ml at 20 weeks and reaches its peak of 1 litre at 36 - 38 weeks of gestation. Thereafter the amount diminishes, till at term it measures about 600 - 800 ml. As the pregnancy continues post-term, further reduction occurs to the extent of about 200 ml at 43 weeks.